Most frequently altered oncogene in pancreatic cancer is:
1. K-RAS
2. CDKN2A
3. SMAD4
4. TP53

Correct answer: 1. K-RAS

Explanation: Pathogenesis of pancreatic cancer: Multiple genes are somatically mutated or epigenetically silenced in each pancreatic carcinoma KRAS (chromosome 12p) Most frequently altered oncogene in pancreatic cancer CDKN2A gene (chromosome 9p) It is the most frequentlyinactivated tumor suppressor gene in these tumors. SMAD4tumor suppressor gene (chromosome 18q) It is inactivated in 55% of pancreatic cancers Inactivation of the TP53 tumor suppressor gene (chromosome 17p) occurs in 70% to 75% of pancreatic cancers.